The commonest site of lytic lesion in multiple myeloma is -
1. Vertebral column
2. Femur
3. Clavicle
4. Pelvis

Correct answer: 1. Vertebral column